Yellow, brown or black pigment which show fluorescences under UV light
1. Tetracycline
2. Internal resorption
3. Fluorosis
4. None of the above

Correct answer: 1. Tetracycline